The Hunterian Ligature operation is performed for ?
1. Varicose veins
2. Arteriovenous fistulae
3. Aneurysm
4. Acute ischemia

Correct answer: 3. Aneurysm

Explanation: Ans. is 'c' i.e., Aneurysm The Hunterian Ligature operation is one of the many ligature operations performed for aneurysms, but ligature operations are becoming obsolete now. Other ligature methods are : a) Anel's method c) Wardrop's method b) Brasdor's method d) Antylus' method